At what age do first permanent teeth appear ?
1. 5 years
2. 6 years
3. 7 years
4. 8 years

Correct answer: 2. 6 years

Explanation: First primary (milk) tooth erupts at 6 months.
First secondary (permanent) tooth appear at 6 year of age.